Reverse transcriptase is:
1. DNA dependent RNA polymerase
2. RNA dependent DNA polymerase
3. DNA dependent DNA polymerase
4. RNA dependent RNA polymerase

Correct answer: 2. RNA dependent DNA polymerase

Explanation: Ans: B (RNA...) "The genetic material for some animal and plant viruses is RNA rather than DNA. Although some RNA viruses never have their information transcribed into a DNA molecule, many animal RNA vtruses-specifically, the retroviruses (the HIV virus, for example)- are transcribed by viral RNA-dependent DNA polymerase, the so-called reverse transcriptase, to produce a double-stranded DNA copy of their RNA genome" - Harper 28th/307Table (Chatterjea & Shinde7th/261)iEnzymes used in recombinant DNA technologyNameReactionFunctionRestriction endonucleaseCut DNA at specific DNA sequence within the moleculeChimical knife in recombinant DNA technologyReverse transcriptaseSynthesizes DNA from RNA templateSynthesizes c-DNA from m-RNASt nucleaseDegrades ss-DNARemoval of 'hairpin' in DNA synthesis of c-DNADNA LigaseCatalyzes bond between DNA moleculesjoining of DNA moleculesDNA Polymerase 1Synthesizes ds-DNA from ss-DNASynthesis of ds c-DNA: 'nick' translationBAL3 1 nucleaseDegrades both 3' and 5' ends of DNAProgressive shortening of DNA moleculesAlkaline phosphataseDephosphoryiates 5' ends of RNA and DNARemoval of 5' -P04 Groups to kinase labeling to prevent self Ligation